True about PCOD :
1. LH & FSH Ratio > 1:2
2. FSH & LH Ratio > 2:1
3. LH & FSH Ratio 1:1
4. Hyperinsulinemia

Correct answer: 4. Hyperinsulinemia

Explanation: In PCOD, LH:FSH ratio is increased (>2.1) Insulin resistance is seen. Refer to previous questions in this chapter